What type of hearing loss is seen in Meniere's disease?
1. Fluctuating SNHL
2. Progressive SNHL
3. Conductive hearing loss
4. Mixed Hearing loss

Correct answer: 1. Fluctuating SNHL

Explanation: Fluctuating hearing loss in Meniere's DiseaseFluctuating nature of sensorineural hearing loss is quite characteristicInitially, there is a loss of low-frequency sound, later both low and high frequencies are involvedDistortion of sound occurs in some patients, e.g. a tone of a particular frequency may appear normal in one ear and of higher pitch in the other leading to diplacusisIntolerance to loud sounds occurs due to recruitment phenomenonRef: PL Dhingra, Diseases of Ear, Nose & Throat, 7th edition, pg no. 111 - 116